KFD is transmitted by:
1. Tick
2. Sandfly
3. Mosquito
4. Mite

Correct answer: 1. Tick

Explanation: Ans. A: Tick Kyasanur forest disease is a tick-borne viral hemorrhagic fever endemic to South Asia. The disease is caused by a virus belonging to the family flaviviridae, which also includes yellow fever and dengue fever. There are a variety of animals thought to be reservoir hosts for the disease, including porcupines, rats, squirrels, mice and shrews. The vector for disease transmission is Haemaphysalis spinigera, a forest tick. Humans contract infection from the bite of nymphs of the tick. Estimated incubation period is between 3-8 days.